Most common symptom in buphthalmos is?
1. Lacrimation
2. Pain
3. Photophobia
4. Itching

Correct answer: 1. Lacrimation

Explanation: Ans. is 'a' i.e., Lacrimation Commonest symptom is watering"__ Mukherjee In Buphthalmos Most common symptom - Watering (lacrimation) 2nd most common symptom - Photophobia Most troublesome symptom - Photophobia (Child avoids light) o First sign- Corneal edema with watering Frosted glass appearance of cornea (hazy cornea) Haab striae Large cornea Deep anterior chamber Lens antero-posteriorly flat